Spermatocoeles are most commonly found at -
1. The Head of epidydimis
2. Testis
3. Prostate
4. Seminal Vescicles

Correct answer: 1. The Head of epidydimis

Explanation: Ans. is 'a' i.e., The Head of epidydimis o A spermatocele is a benign cystic accumulation of sperm that arises from the head of the epididymis. Although often disconcerting to the patient when noticed, these lesions are benign. Spermatoceles can develop in varying locations, ranging from the testicle itself to locations along the course of the vas deferens. Nevertheless, in common usage, spermatoceles are intrascrotal, paratesticular cystic collections of sperm that arise from the epididymiso Usually smooth, soft, and well-circumscribed, spermatoceles are broadly described as scrotal masses. The differential diagnoses include hydrocele, varicocele, hernia, simple epididymal cyst, and neoplasm. History, examination, and ultrasonography can aid in the differentiation.o Spermatoceles typically arise from the caput (head) of the epididymis, which is located on the superior aspect of the testicle